ECG is poor detecting ischemia in areas supplied by wich of the following vessels-
1. Left anterior descending (LAD)
2. Left circumflex (LCx)
3. Left Coronary Artery (LCA)
4. Right Coronary Artery (RCA)

Correct answer: 2. Left circumflex (LCx)

Explanation: Occlusion in the left circumflex artery ECG changes resemble those seen in posterior infarction due to occlusion in the RCA, namely ST-segment elevations in V7-V9 and reciprocal ST-segment depressions in V1-V3, along with high R-waves and positive T-waves in the same leads (V1-V3).but it is poorly detected on ECG Ref Davidson edition23rd pg 460